Destination therapy is given in which condition?
1. MI
2. CHF
3. Arrhythmia
4. IE

Correct answer: 2. CHF

Explanation: Ans. B. CHFa. Destination therapy is a therapy that is final rather than being a transitional stage until another therapy--thus, in transportation metaphor, a destination in itself rather than merely a bridge or road to the destination.b. The term usually refers to ventricular assist devices or mechanical circulatory support to keep the existing heart going, not just until a heart transplant can occur, but for the rest of the patient's life expectancy. It is thus a course of treatment for severe (e.g., NYHA class IV/ACC stage D) heart failure patients who are not likely candidates for transplant.c. In contrast, bridge-to-transplant therapy is a way to stay alive long enough, and stay healthy enough, to await transplant while maintaining eligibility for transplant.d. Heart failure is a leading cause of death in industrialized economies. Among those suffering from serious heart illness some are, for a variety of possible medical circumstances, ineligible for a heart transplant. Destination therapy provides a possibility to extend their lives and improve their quality of life.e. In addition, destination therapy may in some cases turn out to remedy the condition that excluded transplantation